Bullous skin lesions are seen in the following except:
1. Impetigo
2. Diabetes mellitus
3. Porphyria
4. Lupus vulgaris

Correct answer: 4. Lupus vulgaris

Explanation: Bullous Skin Lesions - Primary blistering autoimmune diseases (pemphigus, bullous pemphigoid, herpes gestationalis, cicatricial pemphigoid, dermatitis herpitiformis, linear Ig A disease, epidermolysis bullosa aquisita). Secondary blistering diseases (contact dermatitis, erythema multiforme, TEN). Infections (VZV, HSV, enteroviruses e.g. Hand foot mouth syndrome, SSSS, bullous impetigo). Para neoplastic pemphigus Cutaneous emboli Diabetes Porphyrias - PCT (Porphyria cutanea tarda) , pseudoporphyria Bullous dermatosis of hemodialysis.